A patient met with Road Traffic Accident with injury to the left knee. Dial test was positive. What could be the cause ?
1. Medial Collateral Ligament Injury
2. Posterolateral Corner Injury
3. Lateral Meniscus Tear
4. Medial Meniscal Injury

Correct answer: 2. Posterolateral Corner Injury

Explanation: Dial test or Tibial External Rotation Test: 

This is the test for posterolateral instability.
The tibia is externally rotated on femur first at 30° flexion and then at 90° flexion. Comparison is made with the normal side.
An increase in external rotation of greater than 10°


At 30° of flexion but not at 90° indicates an isolated posterolateral corner injury.
At both 30° and 90° of flexion indicates injury of both posterior cruciate ligament and posterolateral corner.


The posterolateral corner (PLC) is a complex that includes the lateral collateral ligament (LCL), popliteus tendon, fabellofibular ligament, arcuate ligament, popliteofibular ligament, and the short lateral ligament.